Commonest presentation of neurocysticerocosis is-
1. Seizures
2. Focal neurological deficits
3. Dementia
4. Radiculopathy

Correct answer: 1. Seizures

Explanation: Ans. is 'a' i.e., Seizures "There is wide variety of presentation of Neurocysticercosts depending on the intensity of the infestation, the localization of cysticerci and the degree of inflammatory reaction, Epilepsy (seizure activity) is the most common manifestion occuring in upto 50% cases.Cysticercosis is a infection with the larval stage (cysticercus) of T. solium.These cysts located in order of frequency in:o CNS (neurological manifestations are the most common)o Subcutaneous tissueo Striated muscleo Globe of the eye